The site of lesion in unilateral past pointing nystagmus is-
1. Posterior semicircular canal
2. Superior semicircular canal
3. Flocculonodular node
4. Cerebellar hemisphere

Correct answer: 4. Cerebellar hemisphere